Krukenberg adenocarcinoma of ovary can occur as result of metastases from all except?
1. Stomach
2. Breast
3. Liver
4. Pancreas

Correct answer: 3. Liver

Explanation: Ans. is 'c' i.e., Livero Metastatic gastrointestinal & breast neoplasm to ovary are referred to as krukenberg tumors and are characterized by bilateral metastasis composed of mucin-producing signet-ring cells.o The primary sites are --> Stomach (most common), Pancreas, Colon, Gall bladder, Breast.